Frozen DPT vaccine should be -
1. Shaken thoroughly before use
2. Allowed to melt before use
3. Discarded
4. Brought to room temperature before use

Correct answer: 3. Discarded